Which among the following is a depolarising muscle relaxant?
1. Decamethonium
2. D tubocurarine
3. Doxacurium
4. Atracurium

Correct answer: 1. Decamethonium

Explanation: Ans. is 'a' i.e., Decamethonium Morgan 4th/e p. 214] See explanation-4 of session-3.